Methysergide is banned as it causes ?
1. Pulmonary fibrosis
2. Pleural effusion
3. Syncope
4. Myocarditis

Correct answer: 1. Pulmonary fibrosis

Explanation: Ans. is 'a' i.e., Pulmonary fibrosis Methysergide It is chemically related to ergot alkaloids and antagonizes the action of serotonin on smooth muscles including that of blood vessels, withot producing ergot like effects. It is a potent 5HT2A/2C antagonist. It has been used for migraine prophylaxis, carcinoid and postgastrectomy dumping syndrome. Prolonged use has caused abdominal, pulmonary and endocardial fibrosis, because of which it has gone into disrepute.